An incomplete tear of a ligament or a complex of ligaments around a joint is known as:
1. Dislocation
2. Subluxation.
3. Sprain.
4. Strain.

Correct answer: 3. Sprain.